Galen's anastomosis is between
1. Recurrent laryngeal nerve and external laryngeal nerve
2. Recurrent laryngeal nerve and internal laryngeal nerve
3. Internal laryngeal nerve and external laryngeal nerve
4. None of the above

Correct answer: 2. Recurrent laryngeal nerve and internal laryngeal nerve

Explanation: Galen's anastomosis is the connecting branch between the Inferior laryngeal nerve (a branch of the recurrent laryngeal nerve) and the Internal laryngeal nerve (a branch of the superior laryngeal nerve). Internal laryngeal nerve is sensory above the vocal cords . Recurrent laryngeal nerve is sensory below the vocal cords, and there is overlap between the territories innervated by the two nerves at the vocal cords themselves which is called as Galens anastomosis.